Activation of which of the following receptors would be expected to decrease anxiety?
1. nicotinic cholinergic receptors
2. glutamate receptors
3. GABA A  receptors
4. glucocorticoid receptors

Correct answer: 3. GABA A  receptors

Explanation: Meissner and Pacinian corpuscles are examples of rapidly adapting receptors, and Merkel cells and Ruffini endings are examples of slowly adapting receptors.
Ganong 23 rd ed, pg 153